When a drug binds to the receptor and causes action opposite to that of agonist this is called as ?
1. Complete Agonist
2. Partial Agonist
3. Inverse agonist
4. Neutral antagonist

Correct answer: 3. Inverse agonist